Otoacoustic emission arises from?
1. Inner hair cell
2. Outer hair cell
3. Riessers membrane
4. Organ of otolith

Correct answer: 2. Outer hair cell

Explanation: ANSWER: (B) Outer hair cellREF: Dhingra 4th edition Page 29Repeat from June 2010OTOACOUSTIC EMISSIONS (OAES):They are low intensity sounds produced by outer hair cells of a normal cochlea and can be elicited by a very sensitive microphone placed in the external ear canal and an analysis by a computer. Sound produced by outer hair cells travels in a reverse direction: outer hair cells - basilar membrane - perilymph - oral window - ossicles - tympanic membrane - ear canal.